Absolute maternal indications for termination of pregnancy are given below, EXCEPT:
1. Parous woman with grade III and IV cardiac lesions
2. Eisenmenger's syndrome
3. Primary pulmonary hypertension
4. Pulmonary veno-occlusive disease

Correct answer: 1. Parous woman with grade III and IV cardiac lesions

Explanation: Considering high maternal deaths, absolute indications for termination of pregnancy are; Primary pulmonary hypertension Eisenmenger's syndrome Pulmonary veno-occlusive disease Relative indications are; Grade I or II with previous history of cardiac failure in early months or in between pregnancy Parous women with grade III and IV cardiac lesions Ref: Textbook of Obstetrics by DC Dutta, 6th edition, Page 279.